True about Haemophilia A are all except :
1. FIT increased
2. PT increased
3. Clotting time is increased.
4. Serum levels of factor VIII are decreased.

Correct answer: 2. PT increased

Explanation: B i.e. PT is increased